Aflatoxins are produced by -
1. Aspergillus flavus
2. Aspergillusniger
3. Aspergillusfumigatus
4. Candida

Correct answer: 1. Aspergillus flavus

Explanation: Ans. is 'a' i.e., Aspergillus flavus o Aflatoxins are produced primarily by filamentous fungi Aspergillus fiavus and Aspergillus parasiticus.